Which of the following neuraminidase inhibitor has 100% renal elimination?
1. Oseltamavir
2. Zanamivir
3. Peramivir
4. Acyclovir

Correct answer: 2. Zanamivir

Explanation: Renal elimination Oseltamavir: 95 % Zanamivir : 100% Peramivir : 90%